Which primary tooth does not resemble any permanent tooth?
1. Primary Mand. 1st Molar
2. Primary Mand. 2st Molar
3. Primary maxillary .2st Molar
4. Primary canine

Correct answer: 1. Primary Mand. 1st Molar